What is the most probable portal of entry of an Aspergillus?
1. Puncture wound
2. Blood
3. Lungs
4. Gastrointestinal tract

Correct answer: 3. Lungs

Explanation: Ans. is 'c' i.e., Lungs(Ref: Harrison, 18th/e, p. 1655 and 19th/e, p. 1257; Ananthanarayan, 9th/e, p. 613)Mode of transmission - Inhalation of Aspergillus spores (Conidia).